A female patient presents with reddish vagina and greenish vaginal discharge. What is the MOST probable diagnosis?
1. Herpes infection
2. Trichomonas vagination
3. Gonococcal infection
4. Candidiasis

Correct answer: 2. Trichomonas vagination

Explanation: This patient is showing features of trichomoniasis caused by Trichomonas vaginalis. Patients with this infection usually presents with malodorous vaginal discharge, vulvar erythema, itching, dysuria and dyspareunia. On examination there is presence of copious frothy yellowish or greenish discharge. There is inflammation of the vaginal walls and cervix with punctate hemorrhages. Diagnosis is typically made by identifying the organism in vaginal or urethral secretions. The treatment of choice is metronidazole or tinidazole. Ref: Rosenthal P.J. (2013). Chapter 35. Protozoal & Helminthic Infections